A 12kg child has diarrhoea, fluid to be replaced in 1st 4 hours
1. 1200-1600 ml
2. 800-1200 ml
3. 400-800 ml
4. 0-400 ml

Correct answer: 2. 800-1200 ml

Explanation: The fluid to be replaced in first 4 hours is 800-1200 ml. Ref : Park 23rd edition Pgno : 225